The completed family size may be estimated by
1. Birth rate
2. Death rate
3. Total fertility rate
4. Age specific fertility rate

Correct answer: 3. Total fertility rate

Explanation: Total fertility rate represents the average number of children a woman would have if she were to pass through her reproductive years bearing children at the same rates as the women now in each age group It gives the appropriate magnitude of completed family size Reference : Park's textbook of preventive and social medicine, 23rd edition, Page no: 489